Pulmonary fibrosis is noted with all except :
1. Busulfan
2. Bleomycin
3. Nitrofurantoin
4. Bumetanide

Correct answer: 4. Bumetanide